Which one of the following is NOT a feature of Kartagener's syndrome -
1. Bronchiectasis
2. Ciliary dyskinesia
3. Pancreatic insufficiency
4. Situs inversus

Correct answer: 3. Pancreatic insufficiency

Explanation: Ans. is 'c' i.e., Pancreatic insufficiency